Which of the following statements are true regarding cefepime : a) It is a fourth generation cephalosporin b) Once a day dose is sufficient c) It possess antipseudomonal action d) Its dose should not be reduced in renal pathology e) It is a prodrug
1. ac
2. cd
3. ad
4. bc

Correct answer: 1. ac